Glucose transport occur with the help of following ion in absorption in gut region
1. Na+
2. K+
3. Ca+
4. CI-

Correct answer: 1. Na+

Explanation: Glucose is absorbed into the epithelial cells lining the mucous membrane of the small intestine from their brush border surface by an active transport mechanism Sodium co-transport mechanism. Binding of glucose & Na+ to carrier protein: The carrier protein in cell membrane has 2 binding sites, one for sodium & another for glucose.It is called sodium-dependent glucose transporter-I. The conformational change in the carrier protein occurs only when the binding sites are occupied by the sodium & glucose present in the gut lumen forming the sodium- glucose - carrier complex. Ref: Medical Physiology, Indu Khurana